Which of the following is not a cause of sudden increase pain in osteochondroma:
1. Bursitis
2. Fracture
3. Sarcomatous changes
4. Degenerative changes

Correct answer: 4. Degenerative changes

Explanation: Ans. D. Degenerative changesDegenerative changes will lead to slowly increase in size of osteochondroma whereas other listed causes will result in sudden increase in the size of osteochondroma.